Grinspan syndrome is associated with:
1. Hypertension, diabetes, lichen planus
2. Oral, ocular, genital lesions
3. Hypertension with oral Lesions
4. Pemphigus, CHF, diabetes

Correct answer: 1. Hypertension, diabetes, lichen planus